Reading and writing skills of a moderate mentally retarded child:
1. Reasonable
2. Basic
3. Minimal
4. None

Correct answer: 2. Basic

Explanation: Learning disability Mild disability Moderate disability Severe/profound disability IQ level 69-50 49-35 <35 % of cases 85% 10% 5% Self-care Independent Need some help Limited Language Reasonable Limited Basic/none Reading & writing Reasonable Basic Minimal/none Ability to work Semi-skilled Unskilled, supervised Basic-tasks, supervised Social skills Normal Moderate Few